The aim of ENCODE project is
1. Sequencing of human genome
2. Metagenome (genome of intestinal flor) analysis
3. To identify the functional elements of human genome
4. Analysis of mitochondrial genome

Correct answer: 3. To identify the functional elements of human genome

Explanation: Human genome is sequenced, but needs to be annotated. Annotation is the process of identifying the function of each DNA element. ENCODE (Encyclopaedia of DNA elements) To provide a detailed, biochemically informative representation of the human genome using high-throughput sequencing methods to identify and catalogue the functional elements.